Which organ does not move with respiration
1. Kidney
2. Liver
3. Stomach
4. Pancreas

Correct answer: 4. Pancreas

Explanation: Pancreas is a retroperitoneal organ and is immobile on respiration.